Which of the following acts as defence against E.coli?
1. Lactoglobulin
2. Lactalbumin
3. Lactoferrin
4. None of the above

Correct answer: 3. Lactoferrin

Explanation: Lactoferrin binds to iron and makes it unavailable for E.coli and acts a defence mechanism against infections. Ref: Nutrition and Child Development, K.E. Elizabeth, 4th edition pg: 17